Most specific cardiac anamoly seen in baby born to Diabetic Mother
1. Tetralogy of Fallot
2. Ventricular septal defect
3. Transposition of Great arteries
4. Heart blocks

Correct answer: 3. Transposition of Great arteries

Explanation: Most specific cardiac anamoly seen in baby born to Diabetic Mother is Transposition of Great arteries.
Most common cardiac anamoly seen in baby born to Diabetic Mother is Ventricular septal defect.